A 26 -year-old male falls from the ladder and had suffered an intense head injury with moderate bleeding . suffers from head injury after falling from a ladder and bleeding in his head. During surgery , neurosurgeon noticed loss of sensation in the dura of middle cranial fossa. Which of the following nerves is injured ?
1. Vagus nerve
2. Facial nerve
3. Hypoglossal nerve
4. Trigeminal nerve

Correct answer: 4. Trigeminal nerve

Explanation: Cranial dura in the middle cranial fossa is innervated by maxillary and mandibular divisions of trigeminal nerve, Dura in anterior cranial fossa is innervated by the ophthalmic division of the trigeminal nerve, Dura in posterior cranial fossa is innervated by vagus and hypoglossal (C1 through hypoglossal) nerves. Facial and glossopharyngeal nerves do not supply cranial dura.